Fincham test is used for -
1. Differentiating open angle from angle closure glaucoma
2. Differentiate halos due to angle closure glaucoma and immature cataract
3. Classify glaucomatous optic atrophy
4. Differentate granulomatous and non granulomatous uveitis

Correct answer: 2. Differentiate halos due to angle closure glaucoma and immature cataract

Explanation: Ans. is 'b' i.e. Differentiate halos due to angle closure glaucoma and immature cataract Fincham'stesto 'Fincham's test is used to differentiate the halos of PACG and immature cataract. In this a stenopaeic slit is passed across the pupil - Glaucomatous halo remains intact, while a halo due to cataract is broken up into segments.